Which fungus appears as single budding cell in culture at 370 C and the bud and the parent yeast have a characteristic wide base of attachment?
1. B. dermatitidis
2. C. neoformans
3. C. albicans
4. P. brasiliensis

Correct answer: 1. B. dermatitidis

Explanation: This is the characteristic appearance of B. dermatitides